Phantom limb is an example of disorder of
1. Thought
2. Perception
3. Cognition
4. None of the above

Correct answer: 2. Perception

Explanation: The phantom limb is the most common organic somatic hallucination of psychiatric origin. it is defined as false sensation in an extremity that has been lost is perceived as present In this case the patient feels that they have a limb from which in fact they are not receiving any sensations either because it has been amputated or because the sensory pathways from it have been destroyed. Reference:Fish's Clinical Psychopathology, 3rd editon, page 29. kaplon and sadock synopsis of psychiatry, page no.1415